Toxix shock syndrome occures after one of the following vaccinations
1. DPT
2. Recombinant DNA vaccine against hepatitis B
3. Oral polio vaccine
4. Measles vaccine

Correct answer: 4. Measles vaccine

Explanation: toxic shock syndrome occurs when measles vaccine is contaminated or the same vaccine l is for more than one session on the same day or next day.the vaccine should be used within 4 hours after opening.TSS reflects poor quality of immunisation.other adverse effects include diarrhea,fever,and vomiting. ref:park's textbook,22 nd ed,pg 140